16F Foley's color:
1. Orange
2. Yellow
3. Blue
4. Black

Correct answer: 1. Orange

Explanation: Ans. A. OrangeColor Code of Foley's CatherSizeColorSizeColor6FLight green20FYellow8FLight blue22FViolet10FBlack24FBlue12FWhite26FCream14FGreen28FOlive green16FOrange30FGrey18FRed32FBrown